Activation of which receptor causes pulmonary vasoconstriction?
1. Alpha 2 adrenergic
2. H2 histamine
3. M3 cholinergic
4. ETA epithelial receptor

Correct answer: 4. ETA epithelial receptor

Explanation: Activation of ETA receptor causes pulmonary vasoconstriction. These are endothelin receptors.Ref: Ganong review of medical physiology, 23rd edition Page no: 609